The topical use of following local anesthetic is not recommended ?
1. Ligocaine
2. Bupivacaine
3. Cocaine
4. Dibucaine

Correct answer: 2. Bupivacaine

Explanation: Topical (surface) anesthetics :- Tetracaine (amethocaine), Cocaine, Benzocaine, Lidocaine, Dibucaine, Benoxinate, Oxethazane, Butamben.